Esterase inhibitor deficiency causes:
1. SLE
2. MPGN
3. Hereditary angioneurotic edema
4. Omen syndrome

Correct answer: 3. Hereditary angioneurotic edema

Explanation: Ans. (c) Hereditary angioneurotic edema(Ref: Harrison 18:2666-67, 17th ed 2030, 2031)Deficiency of complement componentDisease/Syndrome1. C1 esterase InhibitorHereditary angioneurotic edema